Apart from Escherichia coli, which of the following is the other most common organism implicated in acute suppurative bacterial peritonitis?
1. Klebsiella
2. Bacteroides
3. Pseudomonas
4. Peptostreptococcus

Correct answer: 2. Bacteroides

Explanation: E coli is the most common aerobic bacteria involved in the pathogenesis of acute suppurative bacterial peritonitis, whereas the most common anaerobic bacteria involved is Bacteroides. Acute suppurative bacterial peritonitis (secondary bacterial peritonitis) usually occur as a result of acute infection of peritoneum resulting from perforation following appendicitis or diverticulitis. Ref: Principles of Surgical Patient Care By C. J. Mieny, 2nd Edition, Pages 825-8.